A test was considered for diagnosing a disease. Out of 80 positive cases with this test, 40 actually had no disease. Out of 9920 tested negative cases 9840 actually had no disease. Calculate the sensitivity of the test-
1. 13%
2. 33%
3. 50%
4. 99%

Correct answer: 2. 33%

Explanation: Ref :Parks 23rd edition pg 139 Sensitivity = TP / (TP + FP) = 40 / (40+80)=. 33